Connecting Stalk forms
1. primary umblical cord
2. secondary umblical cord
3. decidua paritalis
4. decidua capsularis

Correct answer: 1. primary umblical cord

Explanation: Connecting Stalk forms primary Umbilical Cord .